Diffusion hypoxia is a type of ...............hypoxia
1. Anemic
2. Histotoxic
3. Stagnant
4. Hypoxic

Correct answer: 4. Hypoxic

Explanation: Hypoxic hypoxia also called arterial hypoxiais a result of insufficient oxygen available to the lungs. Diffusion hypoxia occurs during recovery from nitrous oxide anesthesia when nitrous oxide is suddenly cut off. Nitrous oxide diffuses from the blood to the alveoli and replaces the oxygen which reduces alveolar O2 concentration, resulting in relative hypoxemia. This can be avoided by providing supplemental O2 for the first 10 minutes of recovery. Diffusion hypoxia is less common with xenon because its rate of diffusion from the blood to the alveoli is slower.